Gartner's duct cyst is associated with all except
1. Ipsilateral renal hypoplasia
2. Ectopic ureter
3. Bartholin cyst
4. Metanephric anomalies

Correct answer: 3. Bartholin cyst

Explanation: Gartners duct cysts is associated with metanephric urinary anomalies, such as ectopic ureter and ipsilateral renal hypoplasia.